Nonoxynol - 9 (marketed as 'Today') is a/an :
1. Hormonal contraceptive
2. Intrauterine contraceptive
3. Barrier ccntraceptive
4. Post - coital contraceptive

Correct answer: 3. Barrier ccntraceptive

Explanation: Barrier ccntraceptive